A postoperative patient with PH 7.25, MAP (mean arterial pressure) 60 mm of Hg treated with -
1. I.V. sodium bicarbonate
2. Only normal saline
3. Fluid therapy with CVP monitoring
4. fluid restriction

Correct answer: 3. Fluid therapy with CVP monitoring